"Shivering" is observed in the early part of the postoperative period due to:
1. Chloroform
2. Halothane
3. Trichloroethylene
4. Ether

Correct answer: 2. Halothane

Explanation: Post-operative shivering (halothane shakes) and hypothermia are maximum with halothane. Pethidine is used for the treatment of this condition.